Most common cause of subarachnoid hemorrhage is -
1. Hypertension
2. Berry aneurysm
3. Intracranial tumors
4. Arterio-venous malformations (AVM)

Correct answer: 2. Berry aneurysm